'Hill Sachs lesion' is a consequence of which of the following injuries?
1. Posterolateral humerus
2. Anterior dislocation of shoulder joint
3. Posterior dislocation of shoulder joint
4. Glenoid labrum tear

Correct answer: 2. Anterior dislocation of shoulder joint

Explanation: A Hill-Sachs lesion is a cortical depression in the posterolateral head of the humerus bone. It results from forceful impaction of the humeral head against the anteroinferior glenoid rim when the shoulder is dislocated anteriorly. It is often associated with a Bankart lesion of the glenoid (anterior capsule injury associated with tear of glenoid labrum off the anterior glenoid rim).